Specimens for toxicological studies are preserved in:
1. 10% of formaldehyde
2. Alcohol
3. Saturated solution of common salt
4. Normal saline

Correct answer: 3. Saturated solution of common salt

Explanation: Ans. Saturated solution of common salt